All the following statements about leukotriene modifers in the management of bronchial asthma are true except
1. May be used for acute asthma
2. May be used for exercise induced asthma
3. Zileuton is leukotriene modifer
4. May uncover chrug Strauss syndrome

Correct answer: 1. May be used for acute asthma

Explanation: Leukotriene modifers ( monteleukast,zafirulukast) may be considrrco as alternatives to low dose inhaled corticosteroids in patients with mild persistent asthma . Has no role in treating acute severe asthma Ref Harrison 19th edition pg 1673